Burr cell is seen in
1. Uremia
2. Hepatocellular carcinoma
3. Gastric carcinoma
4. Ovarian cancer

Correct answer: 1. Uremia

Explanation: Ref Tejinder Singh 1/e p38, robbins 9/e pg 418 Other causes of microangiopathic hemolytic anemia include malignant hypertension, systemic lupus erythematosus, thrombotic thrombocytopenic purpura, hemolytic uremic syndrome, and disseminated cancer. The morphologic alterations in the injured red cells (schistocytes) are striking and quite characteristic; "burr cells," "helmet cells," and "triangle cells" may be seen Burr Cell Uremia at 40x Magnification.Uremia is a condition in which urea and other nitrogenous substances accumulate to an abnormally high level in the blood. ... Some cases of uremia have also been associated with abnormal red blood cells, such asechinocytes, which are often better known asburr cells.